Bladder tumours mostly arises from -
1. Mucosa
2. Submucosa
3. Muscularis Mucosa
4. S eorsa

Correct answer: 1. Mucosa